Phlep sign is seen in?
1. Otosclerosis
2. Meniere's disease
3. Lateral sinus thrombosis
4. Glomus tumor

Correct answer: 4. Glomus tumor

Explanation: ANSWER: (D) Glomus tumorREF: Dhingra's 4th ed p. 107Signs seen in glomus tumor:Phelp's sign: Loss of crest of bone (as seen in CT-scan) between carotid canal and jugular canal in glomus jugulareBrown's sign: Refers to the blanching noted when applying positive pressure (with Siege's speculum) to the tympanic membrane of a patient with Glomus tumor